Osteoclasts show an intense activity of which of the
following enzymes:
1. Alkaline phosphatase
2. Acid phosphatase
3. Esterase
4. Carbonic Anhydrase

Correct answer: 2. Acid phosphatase